Characteristic of exudative fluid is -
1. Low protein content
2. Specific gravity < 1.012
3. Normal vascular permeability
4. Cellular debris

Correct answer: 4. Cellular debris

Explanation: Ans. is 'd' i.e., Cellular debris Types of edema fluidIn edema, the fluid accumulated in interstitial fluid may be either a transudate or an exudate. Exudate is an inflammatory fluid that contains high protein content, cellular debris, and specific gravity >1.020. It occurs due to increased vascular permeability.Transudate contains low protein (mostly albumin) with specific gravity < 1.012.It is an ultrafiltrate of plasma that results from hydrostatic or osmotic imbalance between intravascular and extravascular compartments despite normal vascular permeability